Which of the following vitamin does not play any role in the process of tooth development:
1. Vit E
2. Vit A
3. Vit C
4. Vit D.

Correct answer: 1. Vit E

Explanation: The three vitamins, which participates in tooth development and calcification are A, C, D.